Basophilic stippling in RBC is due to which enzyme deficiency?
1. Pyruvate kinase
2. G6PD
3. Glutathione synthase
4. Pyrimidine 5 nucleotidase

Correct answer: 4. Pyrimidine 5 nucleotidase

Explanation: Basophilic stippling is because of RNA residual in RBC Defect in Pyrimidine - 5 - Nucleotides G6PD deficiency - Heinz bodies Glutathione synthase - Antioxidant